The optimum calories to be provided by proteins should be
1. 5-10%
2. 10-15%
3. 15-20%
4. 20-30%

Correct answer: 2. 10-15%

Explanation: The main source of energy in the diet is carbohydrates derived largely from cereals and provide 50-80% of daily intake. Most families derive 10-12% of energy from proteins. Energy from fats may vary from 5-30%.Ref: Park; 23rd ed; Pg 634